Capillary leak syndrome is caused by which of the following drug
1. Filgrastim
2. Sargramostim
3. Pegfilgrastim
4. Darbepoetin

Correct answer: 2. Sargramostim

Explanation: Capillary leak syndrome is usually seen with Sargramostim or GM CSFG CSF/GM CSF analogues are used for treatment and prevention of cancer chemotherapy-induced anemia, neutropenia, thrombocytopenia etc Ref: Goodman Gillman 12thed. Pg: 1074